Kyasanur Forest Disease (KFD) is transmitted by
1. Fleas
2. Mosquitoes
3. Ticks
4. Mites

Correct answer: 3. Ticks

Explanation: KFD is a tick-borne viral hemorrhagic fever endemic to South AsiaThe disease is caused by a virus belonging to family Flaviviridae, which also includes yellow fever and dengue feverThe vector for KFD is Haemophysalis spinigera, a forest tickHumans contract infection from the bite of nymphs of the tickReservoir hosts are porcupines, rats, squirrels, mice and shrewsRef: Harrison's 18/e p1236, table 189-4